Which of the following condition is associated with meconium ileus?
1. Fibrocystic disease of pancreas
2. Liver aplasia
3. Cirrhosis of liver
4. Malnutrition

Correct answer: 1. Fibrocystic disease of pancreas

Explanation: Meconium ileus is a neonatal manifestation of cystic fibrosis (also known as fibrocystic disease of pancreas). In cystic fibrosis there is pancreatic enzyme deficiency and abnormal chloride secretion in the intestine that results in the production of viscous water- poor meconium. Meconium ileus results because of impaction of thick meconium in the ileum. Meconium ileus presents shortly after birth with progressive abdominal distension and failure to pass that meconium with intermittent bilious vomiting. Abdominal X- ray shows Dilated loops of small intestine Air fluid level do not form inspite of complete small intestine obstruction, because the enteric contents are viscous and thick. Small bubbles of gas become entrapped in the inspissated meconium in the distal ileum, where they produce a characteristic 'ground glass' appearance on radiograph. In complicated meconium ileus in which perforation has occurred, intraperitoneal eggshell calcification are noted. Ref: Bailey & Love 25/e, Page 1199; Schwartz 9/e, Page 1429.